In a population of pregnant female, Hb is estimated on 100 women with standard deviation of 1gm%.The standard error is -
1. 1
2. 0.1
3. 0.01
4. 10

Correct answer: 2. 0.1